Drug that decreases LpA in blood ?
1. Statin
2. Nicotinic acid
3. Ezetimibe
4. CETP inhibitors

Correct answer: 2. Nicotinic acid

Explanation: Ans. is 'b' i.e., Nicotinic acid Nicotinic acid reduces Lp(a) while statins do not have any effect on Lp(a).